Thinning of cornea occurs in –
1. Megalocornea
2. Bullous keratopathy
3. Endothelial dystrophy
4. Keratoconus

Correct answer: 4. Keratoconus

Explanation: Essential pathological changes in keratoconus are thinning and ectasia.